The bed of the stomach is not formed by-a) Left kidneyb) Left supra renal glandc) Splenic veind) Tail of pancreas
1. ab
2. bc
3. cd
4. ac

Correct answer: 3. cd

Explanation: The posterior surface of stomach is related to structures forming the stomach bed, all of which are separated from stomach by the cavity of the lesser sac. These structures forming stomach bed are


Diaphragm,
left kidney,
left suprarenal (adrenal) gland,
pancreas (body),
transverse colon,
splenic flexure of colon and
splenic artery.

Sometimes spleen is also included in stomach bed, but it is separated from stomach by greater sac (not lesser sac).